The anticoagulant of choice in pregnancy is:
1. Heparin
2. Warfarin
3. Dicumarol
4. Phenindione

Correct answer: 1. Heparin

Explanation: Heparin because of its large molecular size, heparin does not cross placental barrier therefore can be used in pregnancy. From medical pharmacology padmaja 4th edition Page no 335